Most number of false positives by a screening test is becuase of?
1. High specificity
2. High sensitivity
3. High prevalence
4. Low prevalence

Correct answer: 4. Low prevalence

Explanation: Ref :Parks 23rd edition pg 140. PPV decreases as prevalence decreases. As PPV decreases it means that TP is decreasing. This is accompanied by an increase in FP PPV =TP /(TP +FP)